Following statements regarding bromergocriptine are true, except:
1. It may produce postural hypotension.
2. It can decrease growth hormone release in acromegalic patients.
3. It can prevent emesis.
4. It has levodopa like actions in the CNS.

Correct answer: 3. It can prevent emesis.

Explanation: Bromocriptine is a potent dopamine agonist that has levodopa like actions in the CNS. It can produce central inhibition of postural reflexes and has weak alpha adrenergic blocking activity thus can cause postural hypotension. In normal individuals it increases release of growth hormone, however decreases it in acromegalic individuals. By stimulating the dopamine receptors in the CTZ it can produce nausea and vomiting.